A 16-year-old girl complains of chronic abdominal distention, flatulence, and diarrhea after drinking milk. Elimination of milk and other dairy products from the patient's diet relieves these symptoms. This example of malabsorption is caused by a functional deficiency of which of the following enzymes associated with the intestinal brush border membrane?
1. Disaccharidase
2. Glycogen phosphorylase
3. Hyaluronidase
4. Mannosidase

Correct answer: 1. Disaccharidase

Explanation: Acquired lactase deficiency is a widespread disorder of carbohydrate absorption. The symptoms of this disease typically begin in adolescence, when patients complain of flatulence and diarrhea after the ingestion of dairy products. Lactose is one of the most common disaccharides in dairy products. The intestinal brush border contains disaccharidases that are important for cleavage of lactose to free glucose and galactose for absorption. Congenital lactase deficiency is rare but may be lethal if not recognized. The other choices do not hydrolyze lactose.Diagnosis: Lactose intolerance